Gilbert classification system is used for ?
1. Inguinal and femoral Hernias
2. Intestinal obstruction
3. Obturator hernia
4. Intestinal atresia

Correct answer: 1. Inguinal and femoral Hernias